Turner's syndrome karyotyping is -
1. XXY
2. XO
3. XXX
4. Trisomy 21

Correct answer: 2. XO

Explanation: Ans. is 'b' i.e., XOTrisomy 13- Patau syndromeTrisomy 18- Edward syndromeTrisomy 21- Down syndromeXO- Turner syndromeXXY- Klinefelter syndrome